Which one of the following drugs can reduce the efficacy of low dose oral contraceptive pill :
1. Penicillin
2. Tetracycline
3. Ampicillin
4. Rifampicin

Correct answer: 4. Rifampicin

Explanation: Rifampicin